Most common site of bony metastases in Retinoblastoma-
1. Skull bones
2. Hip bones
3. Ribs
4. Vertebrae

Correct answer: 1. Skull bones

Explanation: *Metastasis by blood stream occurs to skill bone and distal bones. Ref: AAO- Ophthalmic pathology and Intraocular Tumors, section 4, 2014-15 p.304.